Most common manifestation of clostridium difficile infection is:
1. Fever
2. Leukocytosis
3. Abdominal pain
4. Diarrhea

Correct answer: 4. Diarrhea

Explanation: Most common manifestation of clostridium difficile infection is Diarrhea Stool is soft, watery or mucoid in consistency, with a characteristic odor with 20 bowel movements per day. Other features: Fever in 28% Abdominal pain in 22%, Leukocytosis in 50% Unexplained leukocytosis, with 15,000 white blood cells (WBCs)/L may indicate c. difficile infection. Complications: 1. Toxic megacolon and sepsis. Ref: Harrison, Edition-18, page-1092.